Most serious adverse effect of penicillin is:
1. Skin rashes
2. Jarish Hexheimer reaction
3. Anaphylaxis
4. Convulsion

Correct answer: 3. Anaphylaxis

Explanation: cRef: KDT, 5th ed, p. 656, 657 & 4th ed, p. 704, 705